Fascia around nerve bundle of brachial plexus is derived from?
1. Prevertebral fascia
2. Pretracheal fascia
3. Investing layer
4. Superficial cervical fascia

Correct answer: 1. Prevertebral fascia

Explanation: Cervical fascia can be divided into Superficial cervical fascia and Deep cervical fascia. Superficial Cervical Fascia: It is usually a thin lamina covering the platysma and is hardly demonstrable as a separate layer. Deep Cervical Fascia: Deep fascia in the neck is divided into an investing layer, pretracheal layer, prevertebral layer, carotid sheath, buccopharyngeal fascia, and pharyngobasilar fascia. 1. Investing layer 2. Pretracheal fascia 3. Prevertebral fascia 4. Carotid sheath 5. Buccopharyngeal fascia 6. Pharyngobasilar fascia